Sperm matures in -
1. Epididymis
2. Seminiferous tubules
3. Prostate gland
4. Vas deferens

Correct answer: 1. Epididymis

Explanation: Ans. is 'a' i.e., Epididymis o Spermatozoa leaving the testis (seminiferous ubules) are not fully mobile.o They continue their maturation and acquire their mobility during their passage through epididymis.o From epididymis they come to vas deference, distal end of which also receives the secretions of seminal vesicle, and continues as the ejeculatory duct.o The ejeculatory duct joins the prostatic urethra.